Operculated eggs are seen in:
1. Nematodes
2. Cestodes
3. Trematodes
4. Protozoa

Correct answer: 3. Trematodes

Explanation: Operculated eggs are seen in trematodes except schictosoma non operculated eggs are seen in schistosoma